Oxaloacetate + Acetyl CoA → Citrate + CoASH. This reaction is
1. Reversible
2. Irreversible
3. Can be reversed by catalase
4. Competitive

Correct answer: 2. Irreversible

Explanation: There are two irreversible steps : (i) Oxaloacetate to citrate, catalyzed by citrate synthase, and (ii) α - ketoglutarate to succinyl CoA, catalyzed by α - ketoglutarate dehydrogenase.